DNA onchogenic viruses are all EXCEPT: (80) DNA onchogenic viruses are all EXCEPT:
1. HTLV
2. Adenovirus
3. EBV
4. HPV

Correct answer: 1. HTLV

Explanation: HTLV REF: Robbin's 7th ed p. 324 Virus Disease Cancer Papova viridae Papilloma virus (some) Warts, includingSTD genital warts Uterine (cervical) cancer Herpes viridae Lymphocryptovirus (Epstein-Barr virus) Infectious mononucleosis Burkitt's lymphoma Nasopharyngeal carcinoma Hodgkin's disease Hepadna viridae Hepatitis B virus(HBV) Hepatitis B (infectious hepatitis) Liver cancer Adenoviridae Acute respiratory disease Common cold Adenocarcinomas (cancer of glandular epithelial tissues) Poxviridae Smallpox; cowpox Miscellaneous Oncogenic RNA Viruses of the Family Retroviridae Human T-cell leukemia virus (HTLV-1; HTLV-2) Adult T-cell leukemia Lymphoma Sarcoma viruses of cats, chickens, rodents Sarcomas (cancer of connective tissues) Mammary tumor virus of mice Mammary gland tumors Feline leukemia virus (FeLV) Feline leukemia